Laboratory evaluation for the differential diagnosis of chronic myeloproliferative disorders includes at thefollowingexcept.
1. Chromosomal evaluation
2. Bone marrow aspiration
3. Flow-cytometric analysis
4. Determination of red blood cell mass

Correct answer: 3. Flow-cytometric analysis

Explanation: In chronic myeloproliferative disorder, chromosomal evaluation is needed to identify Philadelphia chromosome(CML) & trisomy 20(polycythemia vera). Bone marrow examination reveals hypercellularity with myeloid predominance in CML & erythroid hyperplasia in PV & hyperdiploid megakaryocytes in essential thrombocytopenia. Red cell mass will be increased in PV.

Reference :Harsh mohan textbook of pathology sixth edition pg no 358.